All are seen in general anxiety disorder (GAD), EXCEPT:
1. Muscle tension
2. Irritability
3. Fear of impending doom
4. Restlessness

Correct answer: 3. Fear of impending doom

Explanation: Restlessness, easy fatigue, difficulty concentrating, irritability, muscle tension and sleep disturbance are features of generalised anxiety disorder. Fear of impending doom is a symptom of panic attack or panic disorder.